A 35 years old with 36-week pregnancy comes with history of 5 convulsions at home. Her BP is 170/100. Diagnosis made by doctor is eclampsia. Next Management is?
1. Only Labetalol
2. Only MgSO4
3. MgSO4 + Labetalol
4. Clonidine

Correct answer: 3. MgSO4 + Labetalol

Explanation: Eclampsia management: DOC: Magnesium sulphate IM +IV (Pritchard regimen) IV only (Zuspan regime) Pritchard regimen I.M. & I.V. regime This is the most preferred and the 'method of choice' Loading dose-Start with a loading dose of 14g in which 4g given as intravenous and 10g given as intramuscular Maintenance dose - Maintain 5 gm 4 hourly till 24 hours pass after delivery or 24 hours pass after the last convulsion Whichever is later. Add IV labetalol: DOC of hypertensives emergencies in pregnancy